Atmospheric pressure as a factor of retention is effective only
1. If saliva is present
2. If adequate peripheral seal is present
3. If principle of mucostatics is applied
4. If good neuromuscular co-ordination is present

Correct answer: 2. If adequate peripheral seal is present